A 70-year-old male has a pathologic fracture of femur. The lesion appears a lytic on X-rays film with a circumscribed punched out appearance. The curetting from fracture site is most likely to show which of the following
1. Diminished and thinned trabecular bone fragments secondary to osteopenia
2. Sheets of atypical plasma cells
3. Metastatic prostatic adenocarcinoma
4. Malignant cells forming osteoid bone

Correct answer: 2. Sheets of atypical plasma cells

Explanation: History,pathologic fracture,  such as lytic lesion in x - ray and punched out lesion are suggestive of multiple myeloma. Even away from overt tumour masses, the marrow contains an increased number of plasma cells.These plasma cells may infiltrate the interstitium or be present in sheets that completely replace normal elements. On cuerreting this will be obtained.